Untrue about acute febrile convulsions is –
1. Focal in nature
2. EEG normal after 2 weeks
3. usually occur below 6 years age
4. None of the above

Correct answer: 1. Focal in nature

Explanation: Seizures are usually generalised.